Which of the following local anaesthetic should not be alkalinized with soda bicarbonate
1. Lignocaine
2. Procaine
3. Bupivacaine
4. Benzocaine

Correct answer: 3. Bupivacaine

Explanation: Local anaesthetic drug if dissociated –it wont act on sodium channel.
So drug is kept undissociated by adding soda bicarbonate to maintain pka 7.7→ 8.2
But for bupivacaine soda bicarbonate is not used as it gets precipitated.